Cleft lip is due to failure of fusion between?
1. Median nasal process and maxillary process
2. Median nasal process and mandibular process
3. Lateral nasal process and maxillary process
4. Lateral nasal processes of both sides

Correct answer: 1. Median nasal process and maxillary process